All the following are true about the development except
1. Parathyroid glands develop from 3rd and 4th pharyngeal pouches
2. Tongue muscles develop from occipital myotomes
3. Superior parathyroid gland develops from 4th pharyngeal pouch
4. Inferior parathyroid gland develop from 2nd pharyngeal pouch

Correct answer: 4. Inferior parathyroid gland develop from 2nd pharyngeal pouch

Explanation: The parathyroid glands originate from the interaction of the endoderm of the third and fourth pouch and neural crest mesenchyme. ... The pair of glands which is ultimately inferior develops from the third pouch with the thymus, whereas the pair ofglands which is ultimately superior develops from the fourth pouch